Dental papilla gives rise to
1. Pulp only
2. Pulp & Dentin
3. Pulp & periodontal ligament
4. All of the above

Correct answer: 2. Pulp & Dentin

Explanation: The cells of dental papilla will form pulp and dentin and the cells of dental sac will form cementum and periodontal ligament.